Arrange the following the anticoagulant drug's last dose to be stopped before surgery in ascending order{time} 1)Clopidogrel 2)Ticlopidine 3)low molecular wt heparin 4)Warfarin
1. 2>1>3>4
2. 3>4>1>2
3. 4>3>2>1
4. 3>4>2>1

Correct answer: 2. 3>4>1>2

Explanation: The following drugs has tobe continued on the day of surgery: Antihypertensive medications Cardiac medications (e.g.,b-blockers, digoxin) Antidepressants, anxiolytics, and other psychiatric medications Thyroid medications Anticonvulsantmedications Asthma medications. Steroids (oral and inhaled) Drugs that should be discontinued on the day of surgery Oral hypoglycemic agents NSAIDs - Discontinue 48 hours before the day of surgery Warfarin - Discontinue 4 days before surgery, except for patients having cataract surgery without a bulbar block. Short acting Insulins except when given by a continuous pump Thienopyridines (e.g., clopidogrel, ticlopidine) except in cataract surgery, patients with metallic/drug eluting stents Aspirin in selected cases where reversal of platelet inhibition is necessary MAO Inhibitors - 2 weeks prior (MAO Inhibitors are usually continued.They should be discontinued if the patient and anesthesiologist factors are not favorable to continue them)